Psammoma bodies are seen in all the following except -
1. Malignant mesothelioma
2. Somatostatinoma
3. Prolactinoma
4. Follicular carcinoma of thyroid

Correct answer: 4. Follicular carcinoma of thyroid

Explanation: Psammoma bodies can be seen in

Papillary carcinoma of thyroid
Renal cell carcinoma ( papillary type)
Serous cystadenoma of ovary
Meningioma
Malignant mesothelioma (Peritoneal & pleural)
Somatostatinoma (Pancreas)
Prolactinoma (Pituitary)
Endometrial papillary serous cystadenocarcinoma